A fire worker presented with "Phossy jaw" (glass jaw). Which of the following can cause this condition on chronic exposure?
1. Red phosphorus
2. White phosphorus
3. Sulphur
4. Mercury

Correct answer: 2. White phosphorus

Explanation: Red phosphorus is not absorbed and is essentially nontoxic. Chronic inhalation of white phosphorus (over at least 10 months) may result in osteomyelitis and mandibular necrosis ("phossy jaw"). There will be multiple sinuses discharging foul-smelling pus. Ref: Kreshak A. (2012). Chapter 129. Phosphorus. In K.R. Olson (Ed), Poisoning & Drug Overdose, 6e.